Brazilian test is used to determine the ultimate tensile strength of
1. Ductile materials
2. Flexible materials
3. Brittle materials
4. Malleable materials

Correct answer: 3. Brittle materials